The commonly used fluorescent dye in the detection of tubercle bacilli
1. Acridine orange
2. Thioilavin
3. Congo red
4. Auramine and Rhodamine

Correct answer: 4. Auramine and Rhodamine